Which drug can be eliminated by nonenzymatic degradation -
1. Atracurim
2. Pancuronium
3. Mivacurium
4. Dexacurium

Correct answer: 1. Atracurim

Explanation: Ans. is 'a' i.e., Atracurium o The unique feature of atracurium is inactivation in plasma by spontaneous nonenzymatic degradation (Hofman elimination) in addition to that by alkaline ester hydrolysis o Consequently its duration of action is not altered in patients with hepatic/renal insufficiency or hypodynamic circulation - Preferred muscle relaxant for such patients as well as for neonates and the elderly o Atracurium is metabolised to laudanosine that is responsible for seizures.